On insulin administration, change expected in ECF is
1. Hypocalcemia
2. Hyponatremia
3. Hypoglycemia
4. Hyperkalemia

Correct answer: 3. Hypoglycemia

Explanation: Insulin is a polypeptide hormone secreted by the islets of Langerhans and functioning in the regulation of the metabolism of carbohydrates and fats, especially the conversion of glucose to glycogen, which lowers the blood glucose level.Ref: Ganong's review of medical physiology;24th edition; page no-433